'Y' descent in the JVP is due to:
1. Atrial diastole
2. Closure of the tricuspid valve
3. Opening of the tricuspid valve
4. Isovolumetric relaxation of right ventricle

Correct answer: 3. Opening of the tricuspid valve

Explanation: "y" wave indicates fall of right atrial pressure due to opening of tricuspid valve leading to ventricular filing.